A cricketer got injured while holding a catch, following which he complained of pain over the base of thumb. Which structure is most likely to be injured.
1. Volar plate
2. Extensor pollicis longus
3. Abductor pillicis longus
4. Ulnar collateral ligament

Correct answer: 4. Ulnar collateral ligament

Explanation: D i.e. Ulnar collateral ligment